Commonest type of seizure in newborn -
1. Clonic
2. Tonic
3. Subtle
4. Myoclonic

Correct answer: 3. Subtle